Malphigian corpuscles are seen in:
1. Thyroid
2. Kidney
3. Neurons
4. Liver

Correct answer: 2. Kidney

Explanation: Ans. (b) Kidney